Nerve supply of obturator internus is by
1. L1-L3
2. L4-S1
3. L5-S2
4. S1-S3

Correct answer: 3. L5-S2

Explanation: OBTURATOR INTERNUS Fan-shaped Belly lies in pelvis and tendon in gluteal region.Action: lateral rotators of thigh at hip joint.supplied by nerve to obturator internus.Root value: L5,S1,S2Branches: obturator internus and superior gamellus.{Reference: BDC 6E page no.173}